Infections transmitted from man to  animals is known as
1. Anthropozoonoses
2. Zooanthroponoses
3. Zoonoses
4. Amphixenosis

Correct answer: 2. Zooanthroponoses